True about Bacterial capsule is following except
1. Prevents Phagocytosis
2. Stains by gram stain
3. Protects bacteria from lytic enzymes
4. Lost by repeated subcultures

Correct answer: 2. Stains by gram stain

Explanation: Gram staining differentiates bacteria by the chemical and physical properties of their cell walls by detecting peptidoglycan, which is present in a thick layer in gram-positive bacteria. So gram stain is not a stain of capsule it is a stain of cell wall.